Prophylactic intracranial irradiations is indicated in all the following, EXCEPT:
1. Small cell Carcinoma of lung
2. Acute Leukemic Leukemia
3. Hodgkin's Lymphoma
4. Non-Hodgkin's lymphoma

Correct answer: 3. Hodgkin's Lymphoma

Explanation: Ans. C. Hodgkin's LymphomaLung cancer, breast cancer, leukemias, NHL, gastrointestinal malignancies and melanoma are common tumors that metastasize to brain. By contrast, prostate and ovarian cancer and Hodgkin's disease (HD) rarely metastasize to brain.Radiation is the primary treatment for brain metastases. Thus, prophylactic craniospinal irradiation is useful in lung cancer, ALL and NHL but not in HO.